A patient presenting with H/0 diarrhea for several years with recent onset pruritus & T Alkalline Phosphatase, normal SGOT/PT & USG shows no gall stones & biliary tract abnormality, the diagnosis is -
1. Hodgkins Lymphoma
2. Sclerosing cholangitis
3. Chronic HepatitisAutoimmune Hepatitis
4. Viral Hepatitis

Correct answer: 2. Sclerosing cholangitis

Explanation: Ans. (b) Sclerosing cholangitis This patient having inflammatory bowel disease (history of diarrhoea for several years) now presenting with pruritus and T alkaline phosphatase points towards the diagnosis of Primary sclerosing cholangitis.